Which of the following are signs of neonatal respiratory distress syndrome –
1. Intercostal retraction
2. RR > 60/ min
3. PH < 7.2
4. All of these

Correct answer: 4. All of these